All are true regarding bronchial cyst, EXCEPTa) 50-70% are seen in lungb) Usually seen in mediastinumc) May be premalignantd) Commonly gets infected
1. a
2. bc
3. ad
4. ac

Correct answer: 4. ac